A man of age 30 years came to clinic with inability to close his left eye, tears flowing over the left cheek and saliva dribbling from his left angle of the mouth.
1. Facial nerve palsy
2. Mandibular nerve lesion
3. Maxillary nerve injury
4. None of above.

Correct answer: 1. Facial nerve palsy

Explanation: The reason for this condition is facial nerve palsy also called Bell`s palsy. It can be compressed at the stylomastoid foramen. Facial nerve supplies all the muscles of facial expression and can be checked by asking the patient to:- 1) Fill air in mouth to test buccinator 2) Close the eyes tightly to test orbicularis oculi 3) Look upwards to check the normal horizontal wrinkles